Radical neck dissection involves all except ?
1. Sternocleidomastoid muscle
2. Internal jugular vein
3. Vagus nerve
4. Spinal Accessory nerve

Correct answer: 3. Vagus nerve

Explanation: Radical neck dissection During radical neck dissection, following are removed. Lymph nodes of submental, submandibular, upper, middle and lower jugular, and lateral (posterior) triangle regions, i.e. Level I to V along with its fibrofatty tissue. Sternomastoid muscle. Internal jugular vein. Spinal accessory nerve. Submandibular salivary gland. Tail of the parotid. Omohyoid muscle. Following structures are saved ? Carotid artery Brachial plexus, phrenic nerve, vagus nerve, cervical sympathetic chain, marginal mandibular branch of facial, lingual and hypoglosal nerve. Modified neck dissection It is similar to radical neck dissection but with preservation of one or more following structures ? Spinal accessory nerve Internal jugular vein Sternocleidomastoid muscle Thus, both radical neck dissection and modified radical neck dissection remove level I to V neck nodes.